Gastrointestinal stromal malignancy arises from which ofthefollowing:-
1. Smooth muscle
2. Nerve cells
3. Interstitial cells of Cajal
4. Vascular Endothelium

Correct answer: 3. Interstitial cells of Cajal

Explanation: . Interstitial cells of Cajal